The synthesis of 1 peptide bond involves hydrolysis of
1. 1 ATP
2. 2 ATPs
3. 3 ATPs
4. 4 ATPs

Correct answer: 4. 4 ATPs

Explanation: During the translation process, formation of one peptide bond (adding one amino acid) consumes 4 high energy phosphates (2 from ATP & 2 from GTP). Eukaryotes will add 6 amino acids and prokaryotes will add 18 amino acids per second. (Refer: Harper's Illustrated Biochemistry, 26th edition,pg no: 370)